Pre tibial myxedema occurs in?
1. Hypothyroid
2. Hyperthyroidism
3. Hashimoto
4. Graves' disease

Correct answer: 4. Graves' disease

Explanation: Ans. D. Graves' diseasea. Pre tibial myxedema occurs in dermopathy of Grave diseaseb. Ophthalmopathy may occur in some cancer of Hashimoto but Dermopathy occur only in Grave disease. They do not occur in any other cause of hyperthyroidism.c. Grave disease is a type of hyperthyroidism but all hyperthyroid are not Grave Diseased. It is may be associated with other autoimmune diseases: vitiligo, Type 1 DM, Addison's disease.